Post - Menopausal bleeding is associated with all except :
1. Ca cervix
2. CIN
3. Ca ovary
4. Endometrial Ca

Correct answer: 2. CIN

Explanation: Ans. is b i.e. CIN